On SAFE strategy false is ?
1. Screening
2. Antibiotics
3. Facial hygiene
4. Environmental modification

Correct answer: 1. Screening

Explanation: Ans. is 'a' i.e., Screening